A 55-year old male had retero-sternal discomfort unrelated to physical exertion. Pain gets worse after lying down there is partial relief with antacids. The most likely diagnosis is-
1. Ischaemic heart disease
2. Carcinoma oesophagus
3. Achalasia cardia
4. Hiatus hernia

Correct answer: 4. Hiatus hernia

Explanation: Ans. is 'd' i.e., Hiatus hernia